Digoxin action is not affected in:
1. Hepatic disease
2. Electrolyte disturbances
3. Renal failure
4. MI

Correct answer: 1. Hepatic disease

Explanation: Digoxin is eliminated mainly via excretion through kidney whereas digitoxin is metabolized by the liver. The dose of digoxin, therefore, does not require an adjustment in hepatic failure whereas it has to be reduced in renal failure. The arrhythmogenic dose of digitalis is reduced in MI. It should be used after MI only when CHF is accompanied with AF and rapid ventricular rate.
Hypokalemia, hypomagnesemia and hypercalcemia predisposes to digitalis toxicity.